Primary causes of non- inflammatory oedema include all of the following except -
1. Increase in intra - vascular hydrostatic pressure
2. Increased vascular permeability
3. Diminished plasma colloid oncotic pressure
4. Lymphatic obstruction

Correct answer: 2. Increased vascular permeability

Explanation: Ans. is 'b' i.e., Increased vascular permeability Note : Increased vascular permeability causes inflammatory edema.